During exercise, which of the following is decreased?
1. Oxidation of fatty acids
2. Glucagon release
3. Glycogenolysis
4. Lipogenesis

Correct answer: 4. Lipogenesis

Explanation: Oxidation of fatty acids, glucagon release and glycogenolysis are all increased to provide energy sources for exercising muscle. The synthesis of lipid (lipogenesis) would be decreased during periods of exercise.